Shelf life of CPD blood is
1. 3 weeks
2. 6 weeks
3. 9 weeks
4. 12 weeks

Correct answer: 1. 3 weeks

Explanation: CPD - shelf life of blood stored in CPD stored at 2 to 4C is 21 days CPD:Citric acid Phosphate dextrose